The term "placental sign" denotes :
1. Alteration of FHR on pressing the head into the pelvis
2. Spotting on the expected date of period in early months of pregnancy
3. Permanent lengthening of the cord in 3rd stage of labour
4. Slight gush of bleeding in third stage of labour

Correct answer: 2. Spotting on the expected date of period in early months of pregnancy

Explanation: Cyclic bleeding may occur upto 12 weeks of pregnancy, until the decidual space is obliterated by the fusion of decidua vera with decidua capsularis. Such bleeding is usually scanty, lasting for a shorter duration than her usual and roughly corresponds with the date of the expected period. This is termed as placental sign. This type of bleeding should not be confused with the commonly met pathological bleeding, i.e. threatened abortion. Reference: Dutta's Textbook of obstetrics 7th edition page no 71